Vitamin K dependent coagulation factors include
1. II and III
2. IX and X
3. III and V
4. VIII and XII

Correct answer: 2. IX and X

Explanation: Vitamin K is an essential factor to a liver carboxylase that adds a carboxyl group to glutamic acid residues on five of the important clotting factors: prothrombin, Factor VII, Factor IX, Factor X, and protein C.Ref: Guyton and Hall textbook of medical physiology 13th edition. Page: 490